A 4 yr old child has 'seal barking' like croupy cough. Management includes A/E -
1. O2 inhalation
2. Antibiotic
3. Hydration
4. ALL

Correct answer: 2. Antibiotic

Explanation: Ans. is `b' i.e., Antibiotic o Seal barking like croupy cough is a feature of laryngotracheobronchitis (Croup).